Clinical features of pneumonia are
1. Tracheal shift
2. Increased breath sounds
3. Decreased vocal fremitus
4. Absence of Egophony

Correct answer: 2. Increased breath sounds

Explanation: Chest signs of consolidation in pneumonia include increased vocal fremitus,dull note on percussion,and as conduction of sound is enhanced,auscultation reveals increased breath sounds,bronchial breathing,aegophony & whispering pectoriloquy;crackels are heard through out. Reference:Davidson's medicine-22nd edition,page no:683.